Median Atlanto-axial joint is which type of joint -
1. Pivot
2. Hinge
3. Saddle
4. Ellipsoid

Correct answer: 1. Pivot

Explanation: Ans. is 'a' i.e., Plane o There are two types of atlanto-axial joints, both of which are synovial joints - i) One median atlanto-axial joint - Pivot joint. ii) Two lateral atlanto-axial joints - Plane synovial joint (flat joint).